Wrong statement is:
1. Mees line in Arsenic poisoning
2. Pterygium of nails in Lichen Planus
3. Oncholysis in Psoriasis
4. Koilonychia in Megaloblastic Anemia (B12 def.)

Correct answer: 4. Koilonychia in Megaloblastic Anemia (B12 def.)

Explanation: D i.e. Koilonychia in megaloblastic anemia (B12 def)